Which of the following is a topical sulfonamide -
1. Sulfadoxine
2. Mafenide
3. Sulfamethopyrazine
4. None

Correct answer: 2. Mafenide

Explanation: Ans. is 'b' i.e., Mafenide Classfication of sulfonamidesShort acting - Sulfadiazine, Sulfisoxaxole, Sulfamethizole, Sulfacystine.Intermediate acting - Sulfamethoxazole.Long acting - Sulfadoxine, Sulfamethopyrazine.Topical Sulfonamides - Sulfacetamide sodium, Mafenide, silver sulfadiazine.Sulfonamide for RA and ulcerative colitis - Sulfasalazine.